Which of the following is type 3 hypersensitivity reaction (immune complex disease):
1. SLE
2. Diabetes Mellitus I
3. Goodpasteur syndrome
4. Multiple sclerosis

Correct answer: 1. SLE

Explanation: Ans: a. SLEType 3 Hypersensitivity reaction (Immune complex disease) Ananthanarayan 9th/162, It is two types-ahus reaction & serum sickness.the damage is caused by antigen-antibody complexes. These may precipitate in & around small blood vessels causing damage to cells secondarily, or on membranes, interfering with their function .